Granuloma is characterized by all of the following except:
1. A specific type of chronic inflammation
2. Accumulation of modified macrophages
3. Initiated by a number of infectious and non infectious agents
4. A reaction of acute inflammation

Correct answer: 4. A reaction of acute inflammation